The pustular, neutrophil-rich skin lesions develop or worsen following intradermal trauma is called:
1. Erythema nodosum
2. Koebner Phenomenon
3. Pathergy
4. Dermatitis herpetifomis

Correct answer: 3. Pathergy

Explanation: Pathergy is pustular, neutrophil-rich skin lesions develop or worsen following intradermal trauma. The pathergy test used in the diagnosis of Behcet disease is based on this phenomenon. Pathergy may be found within sites of vaccinations, venipuncture, indwelling catheters, or recently performed procedures. It is a feature of neutrophilic dermatosis, with diffuse skin infiltration by mature neutrophils, like Pyoderma gangrenosum, Behcet disease, neutrophilic eccrine hidradenitis, bowel bypass syndrome, rheumatoid neutrophilic dermatitis, and Sweet syndrome (acute febrile neutrophilic dermatosis). Important: Koebner phenomenon refers to the development of skin lesions after minor traumatic insult. Koebnerization involves the development of lesions characteristic to an underlying disorder. This differentiates it from Pathergy. Ref: Tan J.K., Vleugels R.A. (2012). Chapter 147. Dermatologic Findings in Systemic Disease. In S.C. McKean, J.J. Ross, D.D. Dressler, D.J. Brotman, J.S. Ginsberg (Eds), Principles and Practice of Hospital Medicine.